Goitre is prevalent at higher altitude, is an example of -
1. Direct association
2. Indirect association
3. Causal association
4. Temporal association

Correct answer: 2. Indirect association